Which of the following mutations in a tumour suppressor agent by apoptosis regulation causes breast cancer?
1. p43
2. p53
3. p73
4. p83

Correct answer: 2. p53